Which one of the following is not a feature of Turner's syndrome
1. Intellectual disability
2. Short stature
3. Coarctation of aorta
4. Lymphedema

Correct answer: 1. Intellectual disability

Explanation: Intellectual function can be measured with a test.
The main symptom is difficulty thinking and understanding. Life skills that can be impacted upon include certain conceptual, social and practical skills.
Special education and behavioural therapy can help a person live to his or her fullest.